The optic nerve terminates in the
1. Thalamus
2. Pituitary gland
3. Medulla Oblongata
4. Lateral Geniculate Body

Correct answer: 4. Lateral Geniculate Body